The right coronary artery supplies all of the following parts of the conducting system in the heart except -
1. SA node
2. AV node
3. AV bundle
4. Right bundle branch

Correct answer: 4. Right bundle branch

Explanation: Area supplied by right coronary artery
-        SA node (in 65%)
-        Conducting system (AV bundle, bundle of His, part of left bundle branch) except RBB and part of left branch of AV bundle.
-        Posterior 1/3rd of interventricular septum
-        Right ventricle except part adjoining anterior interventricular groove and small part of left ventricle adjoining posterior interventricular groove.
 Area supplied by left coronary artery
-        Left atrium
-        Left ventricle including apex
-        Part of right ventricle adjoining anterior interventricular groove.
-        Anterior 2/3rd of interventricular septum
-        RBB, LBB
-        SA node (in 35%)